The rate of cooling down of dead bodies in tropical climate is -
1. 0.2°C/ hours
2. 0.5°C/ hours
3. 1.0°C/ hours
4. 1.5°C/ hours

Correct answer: 2. 0.5°C/ hours

Explanation: Rate of cooling of dead body in tropical countries (India) is 0.5- 0.7°C/hours.
In temperate climate, it is about 1.5°C/hours